Neurotransmitter playing major part in the pathogenesis of Alzheimer's disease ?
1. Serotonine
2. Norepinephrine
3. Acetylcholine
4. Dopamine

Correct answer: 3. Acetylcholine

Explanation: Ans. is 'c' i.e., Acetylcholine Neurotransmitters in Alzheimer's disease Acetylcholine has a major role in memory functions and deficiency in cholinergic functioning is associatedwith memory disturbances particularly short term memory. In Alzheimer's disease there loss of cells in the nucleus basalis of meyernet results in marked reduction in choline acetyltransferase (CHAT), an enzymeinvolved in the synthesis of acetylcholine --> Decreased Acetylcholine. The other important neurotransmitter involved is norepinephrine --> There is decrease in nor-epinephrine containing neurons in the locus ceruleus. Two other neuroactive peptides have been implicated in AD --> Somatostatin and corticotropin, both of which have decreased concentration.